neuroleptic malignant syndrome is treated with
1. dantrolene sodium
2. propanolol
3. pacitine
4. clonazepam

Correct answer: 1. dantrolene sodium

Explanation: neuroleptic malignant syndrome is a type of movement disorder assosiated with CLINICAL CRITERIA * 106:F * Abrupt onset * Any of the two * Diaphoresis * Tachycardia Labile bp ETIOLOGY Introduction of Dopamine antagonists or Abrupt Discontinuation Of an antipsychotic this can be treated with Dantrolene sodium and syndopa Ref.kaplon and Sadock, synopsis of psychiatry, 11 th edition, pg no. 925